Which of the following is a stage of intuitive thought appearance in jean-Piaget scheme :
1. Senosorimotor
2. Concrete
3. Preoperational stage
4. Formal operations stage

Correct answer: 3. Preoperational stage

Explanation: C i.e. Preoperational stage